Mechanism of action of Oxybutynin?
1. Cholinergic
2. Anticholinergic
3. Adrenergic
4. Selectively inhibits M2 receptor

Correct answer: 2. Anticholinergic

Explanation: Ans. (b) AnticholinergicRef. KDT 6th ed. /107; Katzung Pharma 10th ed. Ch 8 MOA oxybutynin - cholinergic-muscarinic receptor antagonist* Oxybutynin is a selective M3 receptor blocker, used to relieve bladder spasm after urologic surgery, eg, prostatectomy. It is also used to relieve urinary and bladder difficulties, including frequent urination and inability to control urination, by decreasing muscle spasms of the bladder.* It competitively antagonizes the M3 subtypes of the muscarinic acetylcholine receptor.* M3 receptor blockers: (Mn: SOFT blaDar)# Solifenacin, Oxybutynin, Flavoxate, Tolterodine and Darifenacin